Brachytherapy is used in :
1. Stage lb Ca cervix
2. Ovarian Ca
3. Stage IV Ca vagina
4. Stage 11 fallopian tube Ca

Correct answer: 1. Stage lb Ca cervix

Explanation: Ans. is a i.e. Stage lb Ca cervix Radiotherapy is recommended in advanced stages of Ca cervix i.e. stage IIB onwards.deg Brachytherapy is commonly used. For larger tumours initially external radiation then brachytherapy is given In small tumours brachytherapy is given first followed by external radiation. For stage IB and IIA - both surgery and radiotherapy yield similar results. There is very little scope of radiotherapy in ovary tumors. Only Granulosa cell tumour and dysgerminoma are radiosensitive and external radiotherapy is instituted for elderly woman. Vaginal Squamous cell Ca is only moderately sensitive to irradiation. In all advanced cases exenteration operation is done. Fallopian tube carcinoma -Total hysterectomy with Bilateral Salpingo-oophorectomy along with omentectomy followed by external pelvic radiation is the Treatment of Choice in Ca of Fallopian Tube.